The term enucleation means:
1. Removal of eyeball contents
2. Removal of eyeball along with a portion of optic nerve
3. Removal of the eyeball along with extraocular muscles
4. Removal of the eyeball along with extraocular muscles and part of skull

Correct answer: 2. Removal of eyeball along with a portion of optic nerve

Explanation: Ans. B: Removal of eyeball along with a portion of optic nerve